Streptokinase and urokinase are contraindicated in
1. Intracranial malignancy
2. Pulmonary embolism
3. AV fistula
4. Thrombophlebitis

Correct answer: 1. Intracranial malignancy

Explanation: Intracranial tumours (ICT) are considered an absolute contraindication for thrombolysis because of their association with spontaneous ICH, although no such cases have been reported in connection with lytic treatment Absolute contraindications for fibrinolytic use in STEMI include the following: Prior intracranial hemorrhage (ICH) Known structural cerebral vascular lesion. Known malignant intracranial neoplasm. Ischemic stroke within 3 months. Suspected aortic dissection. Active bleeding or bleeding diathesis (excluding menses) Ref Harrison20th edition pg 2234